Theophylline given for bronchial asthma acts by inhibiting phophodiesterose enzyme. It also acts by inhibiting:
1. Lipoxygenase enzyme
2. Adenosine receptors
3. Histamine receptors
4. Monoamine oxidase enzyme

Correct answer: 2. Adenosine receptors

Explanation: Theophylline has antagonistic interaction with adenosine receptors.